Plasmapheresis is treatment of choice for :
1. Henoch scholien purpura
2. Wegener's granulomatosis
3. Good Pasture's syndrome
4. Acute renal transplant rejection

Correct answer: 3. Good Pasture's syndrome

Explanation: Ans. is 'c' i.e., Good Pasture's Syndrome Management of Good Pasteur's SyndromeT/t Modalities Are -PlasmapheresisGlucocorticoidsCyclophosphamideAzathioprineMost important t/t is plasmapheresis. To be effective the t/t should be started earlyPlasmapheresis is performed daily or on alternate days until Anti GBM antibodies are not detected in Circulation.T/t of choice for -Wegener's Granulomatosis -Cyclophosphamide with corticosteroidsHenoch Schonlein Purpura -Glucocorticoid (Prednisone 1mg/kg)Acute Renal transplant rejectionTreatment modalities include-High dose steroidsPolyclonal antisera (ATG,ACG)Monoclonal Antibodies(OKT3)PlasmapheresisThe primary treatment is administration of IV methylprednisolone or oral prednisoloneOKT3 - can be given to steroid unresponsive rejections.